First pharyngeal arch derivative is
1. Maxillary artery
2. Stylohyoid ligament
3. Styloid process
4. Posterior 1/3rd of tongue

Correct answer: 1. Maxillary artery

Explanation: (A) Maxillary artery ArchNerve of ArchMuscles of ArchFirstMandibularMedial and lateral pterygoidsMasseter, Temporalis, MylohyoidAnt. belly of Digastric Tensor tympani, Tensor palatiSecondFacialMuscles of face, Occipito-frontalis Platysma, Stylohyoid, Post, belly of Digastric, Stapedius, Auricular musclesThirdGlossopharyngealStylopharyngeusFourthSuperior laryngealCricothyroidSixthRecurrent laryngealMuscles of larynx